A patient with chest pain was brought to the hospital. He was diagnosed to be a case of myocardial infarction and was administered a thrombolytic immediately. However, his cardiac condition worsened and he died. He was diagnosed to be suffering from "cardiac reperfusion injury". Which of the following is an expected histological finding in his cardiac tissue?
1. Presence of coagulative necrosis with neutrophilic infiltration
2. Deposition of granulation tissue
3. Presence of contraction bands
4. Fibrosis and scar formation

Correct answer: 3. Presence of contraction bands

Explanation: Restoration of blood flow to ischemic tissues can promote recovery of cells if they are reversibly injured. However, under certain circumstances, when blood flow is restored to cells that have been ischemic but have not died, injury is paradoxically exacerbated and proceeds at an accelerated pace. This process is calledischemia-reperfusion injury. It is due to sudden influx of free radicals and Ca+2 Neutrophils are responsible for production of free radicals. Re-perfused blood is rich in calcium hence leads formation of contraction bands.